Multiple Endocrine Neoplasia (MEN) Type-I is also known as:
1. Wermer's Syndrome
2. Sipple Syndrome
3. Weber's Syndrome
4. Morrison Syndrome

Correct answer: 1. Wermer's Syndrome

Explanation: Answer is A (Wermer's Syndrome): Multiple Endocrine Neoplasia (MEN) Type-I (MEN-Type-I) is also known as Wermer's Syndrome MEN Type - Other Names /Tenninology MEN Type I - Wermer's Syndrome MEN Type IIA - Sipple Syndrome MEN Type IIB - MEN Type -3